Which of the following brain tumor arises from arachnoid villi -
1. Medulloblastoma
2. Ependymoma
3. Meningioma
4. Glioma

Correct answer: 3. Meningioma

Explanation: Meningioma arises from the meningothelial cells of the arachnoid.
Medulloblastoma arises from neural precursors cells.
Ependymoma arises from the ependymal cells, lining the ventricular system.
Gliomas are tumors that are derived from glial cells →


Astrocytomas →  Arise from astrocytes
Oligodendroglioma  → Arise from oligodendrocytes
Ependymomas → Arise from ependymal cells